In an epidemic first to be done is-
1. Identity the cases
2. Confirm the diagnosis
3. Identify the prone people
4. Identify the causative factors

Correct answer: 2. Confirm the diagnosis